Woodruffs plexus is located at?
1. Anterosuperior part of nose
2. Anteroinferior part of nose
3. Posteroinferior part of nose
4. Posterosuperior part of nose

Correct answer: 3. Posteroinferior part of nose

Explanation: Ans. is 'c' i.e., Posteroinferior part of nose Woodruffs area* It is situated under the posterior end of inferior turbinate.* Sphenopalatine artery anastomoses with posterior pharyngeal artery here.* Posterior epistaxis occurs in this area.